Functions of cytoplasmic enzymes of RBC
1. Maintain pliability of the cell membrane
2. Prevents membrane transport of ions
3. Keeps the iron of the cells' hemoglobin in the ferric form rather than ferrous form
4. Causes oxidation of the proteins in the RBCs

Correct answer: 1. Maintain pliability of the cell membrane

Explanation: Cytoplasmic enzymes of RBC are capable of metabolizing glucose and forming small amounts of adenosine triphosphate. Other functions of the enzymes: (1) Maintain the pliability of the cell membrane(2) Maintain membrane transport of ions, (3) Keep the iron of the cells' hemoglobin in the ferrous form rather than ferric form, and (4) Prevent oxidation of the proteins in the RBCs.Reference: Guyton Physiology; 13th edition; Page: 451